The primary teeth that present the most outstanding morphologic deviations from permanent teeth are:
1. Central incisors
2. Mandibular first molar
3. Mandibular second molar
4. Canines

Correct answer: 2. Mandibular first molar